Aversion therapy is used for?
1. Depression
2. Mania
3. Paraphilia
4. Suicidal tendencies

Correct answer: 3. Paraphilia

Explanation: Ans. (c) ParaphiliaRef. Kaplan and sadock's 10th ed. 1953